Pathologic Effects of Free Radicals are all except:
1. Lipid peroxidation in membranes.
2. Oxidative modification of proteins
3. Single- and double-strand breaks in DNA
4. Synthesis of new protiens

Correct answer: 4. Synthesis of new protiens

Explanation: Ans. (d) Synthesis of new proteins(Ref: R 9th/pg 49)Pathologic Effects of Free Radicals areLipid peroxidation in membranes- result in extensive membrane damage.Oxidative modification of proteinsSingle- and double-strand breaks in DNA cross-linking of DNA strands, and formation of adducts